In majority of cases with otosclerosis the tympanic membrane is:
1. Normal
2. Flamingo pink
3. Blue
4. Yellow

Correct answer: 1. Normal

Explanation: (a) Normal(Ref. Shambaugh, 6th ed., 531)In 90% patients of otosclerosis the tympanic membrane appears normal, i.e. pearly white.In 10% cases which are active tympanic membrane is flamingo pink.Blue TM is a feature of glue ear because of cholesterol granuloma.Yellow TM is not seen in any condition